BRCA 1 gene is located on-
1. Chromosome 13
2. Chromosome 11
3. Chromosome 17
4. Chromosome 22

Correct answer: 3. Chromosome 17

Explanation: . Chromosome 17